Treatment of choice in fracture neck of femur in a 40?year old male presenting after 2 days is
1. Hemiarthroplasty
2. Closed reduction and Internal fixation by cancellous screws
3. Closed reduction and Internal fixation by Austin Moore pins
4. Plaster and rest

Correct answer: 2. Closed reduction and Internal fixation by cancellous screws

Explanation: B i.e. Closed reduction & internal fixation